Drugs used in CCF are all Except
1. Diuretics
2. Vasodilators
3. Dopamine/Dobutamine
4. Amiodarone

Correct answer: 4. Amiodarone

Explanation: There is a significant evidence-practice gap in the treatment of CHF; particularly the underuse of ACE inhibitors and b-blockers and aldosterone antagonists which have been shown to provide mortality benefit.Treatment of CHF aims to relieve symptoms, to maintain a euvolemic state (normal fluid level in the circulatory system), and to improve prognosis by delaying progression of heart failure and reducing cardiovascular risk. drugs used include diuretic agents, vasodilator agents, positive inotropes, ACE inhibitors, beta-blockers, and aldosterone antagonists (e.g.spironolactone).Some drugs which increase heart function, such as the positive inotrope Milrinone, lead to increased mortality and are contraindicated